Most common organic cause of erectile dysfunction
1. Atherosclerosis
2. Multiple sclerosis
3. Penile fibrosis
4. Peyronie's disease

Correct answer: 1. Atherosclerosis

Explanation: M/c organic cause of ED is Atherosclerosis.